Structure passing through the central tendon of diaphragm is:
1. Esophagus
2. Right Phrenic nerve
3. Subcostal nerve
4. Left phrenic nerve

Correct answer: 2. Right Phrenic nerve

Explanation: Venacaval opening lies in the central tendon of the diaphragm at the level of T8 and it transmits inferior vena cava and branches of right phrenic nerveDiaphragmT8 Level: Caval hiatus (through central tendon of the diaphragm) transmitting the inferior vena cava, branches of right phrenic nerveT9 Level: Foramen of Morgagni also called stemocostal hiatus two on each side of the xiphoid process. Transmitting the superior epigastric vessels.T10 Level: Esophageal hiatus (through muscular part) transmitting the esophagus, gastric (vagus) nerve and esophageal branches of the left gastric artery and accompanying veinsT12 Level: Aortic hiatus (osseoaponeurotic) transmitting the aorta, the azygous vein, and the thoracic duct.A commonly used mnemonic to remember the level of the diaphragmatic apertures is this: MnemonicAortic hiatus = 12 letters = T12Oesophagus = 10 letters = T10Vena cava = 8 letters = T8Embryology:The central tendinous portions are derived from the pleuroperitoneal folds and the septum transversum.While the crura are derived from the dorsal esophageal mesentry, the peripheral muscular portions of the diaphragm are derived from the body wall.